Smoking
1. Increases signs of inflammation
2. Decreases signs of inflammation
3. Has no effect on signs of inflammation
4. Decreases periodontal destruction

Correct answer: 2. Decreases signs of inflammation